A man who had undergone total gastrectomy remains well for five years. Then he develops anaemia. What is the most likely cause of this anaemia ?
1. Protein deficiency
2. Zinc deficiency
3. Folic acid deficiency
4. Vitamin B12 deficiency

Correct answer: 4. Vitamin B12 deficiency